Which of the following prostaglandin analogues is used in glaucoma ?
1. Misoprostol
2. Latanoprost
3. Enprostil
4. Rioprostil

Correct answer: 2. Latanoprost